Paget's disease of breast indicative of
1. Ductal carcinoma
2. Lobular carcinoma
3. Papillary carcinoma
4. Medullary carcinoma

Correct answer: 1. Ductal carcinoma

Explanation: A. i.e. (Ductal carcinoma) (790 - Harsh mohan 5th) (745 Basic pathology 8th)* ** Invasive ductal carcinoma is the most common carcinoma of the breast* **Upper outer quadrant is most common site (left side is more common)PAGET'S DISEASE OF THE NIPPLE - is an eczematous lesion of the nipple associated with invasive or non invasive ductal carcinoma of the under lying breast* Prognosis is based on the underlying carcinoma and is not worsened by the presence of pagets disease **** Atypical epithelial hyperplasia is associated with malignancy of breast** Fibroadenoma is most common benign neoplasm of the female breast* Marker of Paget's disease of the mammary gland is CA - 15 - 3, CEA**